Vonebners salivary gland ducts open into:
1. Fungiform papillae.
2. Filiform papillae.
3. Circumvalate papillae.
4. Foliate papillae.

Correct answer: 3. Circumvalate papillae.